Which of the following is not a bronchodilator?
1. b 2 agonist
2. Methylxanthines
3. Steroids
4. Anticholinergic

Correct answer: 3. Steroids

Explanation: ANSWER: (C) SteroidsREF: KDT's 6th edition page 217Repeat from June 2009Bronchodilators:Three groups of drugs which acts as bronchodilators are: (Mnemonic: SAM)Sympathomimetics:Non selective b2 agonists like adrenaline, isoprenaline and ephedrineShort acting Selective b2 agonists like salbutamol, Terbutaline. pirbuterol, metaprotrenolLong acting Selective b2 agonists like Salmeterol, Bambuterol, FormoterolAnticholinergics: Ipratropium, TiotropiumMethylxanthines: Caffeine, Theophylline, Aminophylline, Theobromine